The CNS tumor present with calcification ?
1. Oligodendroglioma
2. Astrocytoma
3. Medulloblastoma
4. Pheochromocytoma

Correct answer: 1. Oligodendroglioma

Explanation: Ans. is 'a' Oligodendroglioma Although many intracranial tumors show calcification, oligodendroglioma shows calcification in 70-90% of cases.